Uniocular diplopia occurs in all of the following except:
1. Paralysis of inferior oblique
2. Keratoconus
3. Iridodialysis
4. Incipient cataract

Correct answer: 1. Paralysis of inferior oblique

Explanation: Ans. Paralysis of inferior oblique